Perilymph enters the subarachnoid space the
1. Cochlear duct
2. Ductus Reuniens
3. Perilymphatic Duct
4. Vestibular Aqueduct

Correct answer: 3. Perilymphatic Duct

Explanation: C. The perilymph enters the subarachnoid space of the posterior cranial fossa the cochlear aqueduct, which contains the perilymphatic duct.